Using a small fine probe single lactiferous duct is excised.  What is the name of the procedure:
1. Microdochectomy
2. Macrodochectomy
3. Hadfield operation
4. Webster operation

Correct answer: 1. Microdochectomy

Explanation: Ref. Sabiston Textbook of Surgery. Pg. 837
 

Microdoectomy is the excision of single lactiferous duct
Hadfield operation is central duct excision which is surgical removal of all lactiferous ducts under the nipple


It is done in Mammary duct ectasia (periductal mastitis)